A patient meets with an accident with resultant transection of the pituitary stalk; what will NOT occur-
1. Diabetes mellitus
2. Diabetes insipidus
3. Hyperprolactinemia
4. Hypothyroidism

Correct answer: 1. Diabetes mellitus

Explanation: diabetes mellitus is a multiorgan disorder due to various genetic and environmental factors( Harrison 17 pg 2275)